Molar-incisor hypoplasia in primary teeth at the occlusal level is due to developmental defect occurring during?
1. Birth to 12 months
2. 4th month intra-uterine to birth
3. 22 months to 26 months
4. 24 months to 48 months

Correct answer: 2. 4th month intra-uterine to birth